Blood supply of diaphragm is through all, except ?
1. Musculophrenic artery
2. Inferior phrenic artery
3. Middle phrenic artery
4. Pericardiophrenic artery

Correct answer: 3. Middle phrenic artery

Explanation: Ans. C.Middle phrenic artery From above, the diaphragm receives blood from branches of the internal thoracic arteries, namely the pericardiophrenic artery and musculophrenic artery; from the superior phrenic arteries, which arise directly from the thoracic aorta; nd from the lower internal intercostal arteries.From below, the inferior phrenic arteries supply the diaphragm.